Cutting edges of the orthodontic instruments are made up of
1. Austenitic carbon steel
2. Martensitic carbon steel
3. Ferritic carbon steel
4. Cementite carbon steel

Correct answer: 2. Martensitic carbon steel

Explanation: Because of their high yield strength and hardness, martensitic stainless steels are used for surgical and cutting instruments. 
The austenitic stainless steels are the most corrosion-resistant of the three major types and are the stainless steels used for orthodontic wires, endodontic instruments, and crowns in pediatric dentistry.
Ferritic Stainless Steels: These alloys provide good corrosion resistance at a low cost, when high strength is not required. They cannot be hardened by heat treatment or readily work-hardened. Consequently, they have little application in dentistry.
Ref: Phillip’s 12th edition page 406